Edward syndrome is:
1. Trisomy 21
2. Trisomy 18
3. Trisomy 13
4. 5p deletion

Correct answer: 2. Trisomy 18